The study of human relationships and of human behavior for better understanding of the pattern of human life, is called:
1. Anthropology
2. Social Psychology
3. Social epidemiology
4. Sociology

Correct answer: 4. Sociology

Explanation: Sociology Sociology can be viewed from two angles: (a) First, it can be seen as the study of relationships between human beings, and how these relationships change or vary in different parts of the world and at different times. The unit of study can be a small group (e.g., family) consisting of parents and children, or the study can extend beyond the family or small groups into the complex society where a greater number of people interact and interdependent in terms of economics, political power, general organization and ways of living. (b) The other part of sociology is concerned with the study of human behaviour. Human behaviour is determined not merely by biological and physical environmental factors but also by social factors. Every form of human behaviour has a social component. Sociologists are interested in the study of the social determinants of human behaviour. In the final analysis it may be stated that the aim of sociology is to search for the pattern of relationships between people in order to pave the way for the betterment of individuals in relation to society.